A child with parasymphysis fracture with no mobility and does not involve teeth is managed by
1. Circum-manidbular wiring with cap splint
2. IMF
3. Diet restriction and observation for 2-3 weeks
4. Open reduction

Correct answer: 3. Diet restriction and observation for 2-3 weeks